Which of the following inhibits rate limiting step of Norepinephrine synthesis
1. Cocaine
2. Amphetamine
3. Metyrosine
4. Bretylium

Correct answer: 3. Metyrosine

Explanation: Metyrosine inhibits tyrosine hydroxylase enzyme, which mediates the rate limiting step of norepinephrine synthesis (i.e conversion of Tyrosine to Dopa).